Substrate for gluconeogenesis include?
1. Glycerol
2. Leucine
3. Fatty acids
4. Acetyl CoA

Correct answer: 1. Glycerol

Explanation: Only 5 amino acids are both glucogenic and ketogenic. Mnemonic - TTT I P Both glucogenic and ketogenic amino acids: Tryptophan Tyrosine Threonine, Isoleucine, Phenylalanine Note: there is a controversy regarding Lysine, some book says it is purely ketogenic some say it is both Ketogenic and glucogenic serine is only glucogenic amino acid.